Low serum haptoglobin in hemolysis is masked by
1. Pregnancy
2. Liver disease
3. Bile duct obstruction
4. Malnutrition

Correct answer: 3. Bile duct obstruction

Explanation: Bile duct obstruction llapatoglobin is a transport glycoprotein synthesized by the liver. - It is a carrier, for.free Hb in plasma. - Its primary physiological. function is the preservation of iron. - Haptoglobin binds hemoglobin and carries it to the reticuloendothelial system. A decrease in haptoglobin (with normal liver function) is most likely to occur with increased consumption of haptoglobin due to increased intravascular activity. The concentration of haptoglobin is inversely related to the degree of hemolysis and to the duration of hemolytic episode. aiims pginee answers & explanations - Nov 2009 - Normal blood has sufficient haptoglobin to bind to about 100-200 mg of hemoglobin. As a result the hemoglobin released due to intravascular hemolysis binds to haptoglobin. The resulting hemoglobin complex is removed by hepatocytes. "This result in decreased serum haptoglobin in individuals with hemolytic disease". "In biliary obstruction the serum haptoglobin level is increased this may mask the decrease in serum haptoglobin due to hemolysis".